Disease under international surveillance ?
1. Rabies
2. Mumps
3. Hepatitis
4. Tetanus

Correct answer: 1. Rabies

Explanation: Ans. is 'a' i.e., Rabies Diseases under international surveillance (WHO) Rabies oliomyelitis Salmonellosis Louse born typhus fever Malaria Relapsing fever Human influenza